Telephone scotologia is
1. Exhibitionism
2. Voyeurism
3. Frotteurism
4. Fetishism

Correct answer: 1. Exhibitionism

Explanation: Ans. is 'a' i.e., Exhibitionism * Making obscene telephone calls for sexual pleasure is known as telephone scatologia and is considered a form of exhibitionism.* Exhibitionism (Sec 294 IPC): It is a willful and intentional exposure of the genitalia in a public place while in the presence of others to obtain sexual pleasure. May or may not be associated with masturbation (punishment = 3 months + fine).* Voyeurism = Scoptophilia = Peeping tom: Sexual gratification is obtained by looking at the sexual organs of other persons, watching the act of sexual intercourse, or witnessing undressing by a woman.* Frotteurism : Sexual satisfaction is obtained by rubbing against persons in crowd. If they attempt intercourse, they have a premature ejaculation or they are impotent. It is an uncommon perversion and rarely occurs alone.* Fetishism : A fetish is an abnormal stimulus or object of sexual desire. Fetishism means the use of such objects of sexual gratification leading to orgasm. For example underclothing, brassiere, petticoat, stocking, shoes, etc.